Hypokalemia with hypertension is associated with following except
1. Liddle's syndrome
2. Conn's syndrome
3. Bartter's syndrome
4. Cushing's syndrome

Correct answer: 3. Bartter's syndrome

Explanation: Ans. c (Bartter's syndrome) (Ref H-18th/ table 284-2; 17th/1801; LB 25th / 811)The combination of hypokalemia and alkalosis in a normotensive, nonedematous patient can be due to Bartter's or Gitelman's syndrome, magnesium deficiency, vomiting, exogenous alkali, or diuretic ingestion. Bartter's syndrome is featured by Salt wasting and hypokalemia; while Gitelman's syndrome is characterized by Salt wasting, hypokalemia and hypomagnesemia.Presence of chronic hypertension and chronic hypokalemia in an alkalotic patient suggests either mineralocorticoid excess or that the hypertensive patient is receiving diuretics. Low plasma renin activity and normal urine and in a patient who is not taking diuretics indicate a primary mineralocorticoid excess syndrome. It should be noted that Bartter's syndrome is associated with normotension unlike other endocrine causes of hypokalemia (which are associated with hypertension): # Conn' syndrome, # Cushing's syndrome and # Liddle's syndrome.